The right side of mediastinum shadow is not formed by:
1. Superior vena cava
2. Right innominate vein
3. Right atrium
4. Right ventricle

Correct answer: 4. Right ventricle

Explanation: Ans. Right ventricle